All of the following drugs are used for the treatment of urinary incontinence except:
1. Oxybutynin
2. Ipratropium
3. Darifenacin
4. Tolterodine

Correct answer: 2. Ipratropium

Explanation: Ans. (B) Ipratropium(Ref: Katzung 10/e p115; KDT 8th/e p129)Ipratropium is an anticholinergic drug which is used for the treatment of COPD and bronchial asthma.